FALSE about supraspinatus:
1. Rotator cuff muscle which does not rotate humerus
2. Lies deep to coracoacromial arch
3. Abduct the arm to horizontal level
4. Most commonly involved in rotator cuff injury

Correct answer: 3. Abduct the arm to horizontal level

Explanation: Action of supraspinatusContraction of the supraspinatus muscle leads to abduction of the arm at the shoulder joint.It is the main agonist muscle for this movement during the first 10-15 degrees of its arc.Beyond 30 degrees the deltoid muscle becomes increasingly more effective at abducting the arm and becomes the main propagator of this action